Which non-diphtheria corynebacterium is used as immunomodulator?
1. C. diphtheriae
2. C. parvum
3. C.hofmanni
4. C.pseudotuberculosis

Correct answer: 2. C. parvum

Explanation: Ans. is 'b' i.e., C. parvumThe immunomodulator Corynebacterium parvum stimulates the reticuloendothelial system and causes splenic hypertrophy. The ability of C parvum to stimulate splenic regeneration in hemisplenectomized mice and decrease susceptibility to intranasal pneumococcal challenge was studied.